Stellate ganglion block is characterised by all of the following except
1. Miosis
2. Ptosis
3. Flushing
4. Sweating

Correct answer: 4. Sweating

Explanation: A stellate ganglion block is an injection of local anesthetic in the sympathetic nerve tissue of the neck. These nerves are a part of the sympathetic nervous system. The nerves are located on either side of the voice box, in the neck.